Xanthoproteic reaction is due to the formation of
1. Trinitrophenol
2. Mononitrophenol
3. Nitric acid
4. Pyrocathechol

Correct answer: 1. Trinitrophenol

Explanation: Nitric acid is a powerful oxidising agent and reacts with organic matter to produce trinitrophenol, liberating nitrogen monoxide (xanthoproteic reaction).